Most common symptom of posterior uveitis -
1. Pain
2. Photophobia
3. Lacrimation
4. Diminished vision

Correct answer: 4. Diminished vision

Explanation: Posterior uveitis(choroiditis) is a painless condition,usually characterised by visual symptoms due to associated vitreous haze and involvement of the retina.